Color of postmortem staining in cyanide poisoning is
1. Deep blue
2. Bright red
3. Dark brown
4. Bluish green

Correct answer: 2. Bright red

Explanation: Color of postmortem staining Cause of death color of PMS Cyanides bright red(oxygen Hbu) Carbon monoxide cherry red(carboxy Hbu) Carbon dioxide deep blue(reduced Hbu) Hydrogen sulphide bluish green(sulphmet Hbu) Phosphorus, copper Dark brown Opiates black Nitrates, aniline, potassium chlorate, nitrobenzene, potassium bicarbonate chocolate brown, or coffee brown(metHb) Ref: FORENSIC MEDICINE AND TOXICOLOGY Dr PC IGNATIUS THIRD EDITION PAGE 24